Most common type of non scarring alopecia is:
1. Androgenic
2. Areata
3. Tinea capitis
4. Traction

Correct answer: 1. Androgenic

Explanation: Androgenic